The thickness of matrix band is
1. 0.015- 0.02 inch
2. 0.0015 — 0.002 inch
3. 0.0015 — 0.002 mm
4. 0.015 — 0.02 mm

Correct answer: 2. 0.0015 — 0.002 inch